Contraception of choice for a post partum village woman with one child :
1. Barrier
2. Copper T
3. Oral pills
4. Spermicide

Correct answer: 2. Copper T

Explanation: Copper T